Carrier stage is not seen in -
1. Diphtheria
2. Typhoid
3. Hepatitis - B
4. Whooping cough

Correct answer: 4. Whooping cough